Chimmney Sweepe's Cancer is also known as -
1. Carcinoma Scrotum
2. Carcinome urinary bladder
3. Carcinoma testis
4. Carcinoma penis

Correct answer: 1. Carcinoma Scrotum

Explanation: Ans. is 'a' i.e., Carcinoma scrotom "Chimney Sweepe's Cancer, also called soot wo, is a squamous cell carcinoma of the skin of the scrotum".